Which of the following has been strongly implicated as a causative agent for Kaposi's sarcoma?
1. HHV-7
2. HHV-2
3. HHV-6
4. HHV-8

Correct answer: 4. HHV-8

Explanation: Ans. d (HHV-8). (Ref. Harrison's principles of medicine 18th/Ch. 182).Quantitative analysis of HHV-8 DNA suggests a predominance of latently infected cells in KS lesions and frequent lytic replication in multicentric Castleman's disease.Type of HHVAssiociated diseaseHHV-8 or KSHV# Kaposi's sarcoma.HHV-7# Exanthema subitum# Other childhood febrile illnesses# Some neurologic syndromes &# Pityriasis roseaHHV-6 (mostly variant B)# Exanthema subitum (roseola infantum).